Maximum energy is liberated by hydrolysis of ?
1. Creatine phosphate
2. ATP
3. Phosphoenol pyruvate
4. Glucose-6-phosphate

Correct answer: 3. Phosphoenol pyruvate

Explanation: A compound that liberates 7 Kcal/n:ol or more on hydrolysis is called high energy compound, or a compound that on hydrolysis undergoes a large (. 7 kcal/mol) decrease in free energy (AG) under standard condition is called high energy compound, i.e., AG - 7 Kcal/mol.